Which one of the following methods for induction of labor should not be used in a patient with previous lower segment cesarean section?
1. PGE2 gel
2. PGE1 tablet
3. Stripping of the membrane
4. Oxytocin drip

Correct answer: 2. PGE1 tablet

Explanation: PGE1 is contraindicated in previous cesarean scar pregnancy in view of scar ruptureRef: William's obstetrics; 25th edition